Preoperative medication for thyrotoxicosis are all except
1. Propranolol
2. Carbimazole
3. Lugol's Iodine
4. Nifedipine

Correct answer: 4. Nifedipine

Explanation: Ans. (d) NifedipineRef: Bailey and Love 27th edition, Page 813Preoperative preparation of Thyrotoxic patient:* Aim of thyrotoxic patient is to make the patient euthyroid:# Carbimazole 30-40mg per day is the drug of choice for preparation# For pregnant patients and patient's with leucopenia we prefer propyl thiouracil# Last dose of carbimazole is given on the day before surgery in evening# Propranolol 40mg, three times daily or Nadolol 160mgOD is added for fast preparation for surgery# Propranolol is given on day of surgery and continued for 7 days postoperative.# Lugol's Iodine (Iodide) is given last 10 days to make gland firmer and reduce the vascularity of gland